Following are examples of human 'dead end' disease except
1. Leishmaniasis
2. Japanese encephalitis
3. Hydatid disease
4. Bubonic plague

Correct answer: 1. Leishmaniasis